A 10 year old male child presents with purpuric rashes on the lower extremities, hematuria, abdominal pain, and arthritis but has no history of fever. What is the likely diagnosis ?
1. Meningococcal meningitis
2. Henoch-Schonlein purpura
3. Idiopathic thrombocytopenic purpura
4. Hemolytic uremic syndrome

Correct answer: 2. Henoch-Schonlein purpura

Explanation: Symptoms of Henoch-Schonlein Purpura : The classic symptoms of HSP are and swelling, , including blood in urine. Before these symptoms begin, patients may have two to three weeks of fever, Reference: GHAI Essential pediatrics, 8th edition